Energy storage form in liver -
1. Triglyceride
2. Cholesterol
3. FFA
4. Glycogen

Correct answer: 4. Glycogen

Explanation: Ans. is 'd' i.e., Glycogeno Humans carry supplies of fuel within their body. Calories are stored in the body as fat (triglycerides), glycogen and some protein.Provider of energyGramsKilocaloriesPlasma glucose1248Hepatic glycogen70280Muscle glycogen2801120Fat (Triglyceride) in adipose tissue13,000117, 000Muscle protein10,00040,000o Thus, fat in the adipose tissue is the largest reserve of energy in the body, i.e. adipose tissue is the storehouse in the body. However, liver glycogen is the first main provider of energy, for example after absorptive period (when all the dietary glucose is utilized), liver glycogen is the first source of energy. Liver glycogen maintains the blood glucose level between meals.